Agar is prepared from:
1. Bullock heart
2. Chemicals
3. Seaweed
4. Chick cells

Correct answer: 3. Seaweed

Explanation: Agar, a polysaccharide extracted from certain types of seaweed, is the main active ingredient in the material, while water is the major constituent in the agar impression material.
Reference: PHILLIPS’ SCIENCE OF DENTAL MATERIALS, 12th ed page no 170